Cabbage odour urine is found in ?
1. Leucine catabolism defect
2. Valine catabolism defect
3. Tyrosinemia type 1
4. None

Correct answer: 3. Tyrosinemia type 1

Explanation: - Tyrosinemia type 1 is due to defect of hydrolase enzyme in this disorder there occurs cabbage odour urine.